Maintainance dose of a drug depends upon ?
1. CL
2. Vd
3. Lethal dose
4. Loading dose

Correct answer: 1. CL

Explanation: Ans. is 'a' i.e., CL